Increased sweat chloride is seen in all except –
1. Ectodermal dysplasia
2. Nephrogenic diabetes insipidus
3. Glucose 6 phosphatase deficiency
4. Obesity

Correct answer: 4. Obesity

Explanation: Increased sweat chloride is seen in -

Cystic fibrosis                                                                                                                      
Malnutrition                                                                                                                        
Pancreatitis                                                                                                                           
Hypothyroidism
Familial cholestasis
Ectodermal dysplasia
Fucosidosis
Mucopolysaccharidosis  
Untreated adrenal insufficiency (Addison disease)
Hereditary nephrogenic diabetes insipidus 
Hypoparathyroidism
Glucose-6-phosphatase deficiency